Integrated management of childhood illness (IMCI) intiative was taken to prevent morbidity and mortality from all of the following except -
1. Malaria
2. Malnutrition
3. Otitis Media
4. Neonatal tetanus

Correct answer: 4. Neonatal tetanus

Explanation: Ans. is `d' i.e., Neonatal tetanus Integrated management of childhood iliness.tIMCD The extent of childhood morbidity and mortality caused by following diseases is substantial. i) Diarrhea iii) Malaria v) Malnutrition ii) ARI (pneumonia, otitis media) iv) Measles o Most sick children present with signs and symptoms of more than one of these conditions. o This overlap means that a signle diagnosis may not be possible or appropriate, and treatment may be complicated by the need to combine for several conditions. o Therefore, an integrated approach to menage Sick children is necessary. IMCI is a strategy for an integrated approach to the management of childhood illness as it is important for child health programmes to look beyond the treatment of a single disease. o This is cost effective and emphasizes prevention of disease and promotion of child health and development besides provision of standard case management of childhood illness. The target of IMCI --) Children < 5 years of age (0-2 months, 2 months - 5 years). o Health promotive and preventive components include:- I) Breast feeding: ii) Nutritional counseling; iii) Vitamin A & iron supplementation: iv) immunization; v) Treatment of helminthic infestation.